Technique of root canal preparation known as telescopic technique is
1. Crown down
2. Conventional step down
3. Conventional step back
4. Step back pressure Less

Correct answer: 3. Conventional step back